Which apoprotein is the most important to activate lipoprotein lipase -
1. Apo-A I
2. Apo B48
3. Apo-C II
4. Apo-E

Correct answer: 3. Apo-C II

Explanation: Ans. is 'c' i.e., Apo-C IIMajor activator of lipoprotein lipase is apo-CII